Testamentary capacity is -
1. Ability to give willful statement
2. Ability to make will
3. Ability to judge
4. None

Correct answer: 2. Ability to make will

Explanation: Ans. is 'b' i.e., Ability to make willo Testamentary capacity is the legal term of art used to describe a person's legal and mental ability to make or alter a valid will.